Parenteral Iron therapy is indicated only when:
1. Oral Iron intolerance
2. Pregnancy with Hemoglobin less than 8 g/dL
3. Postpartum period with Anemia
4. Emergency surgery suspected of severe blood loss

Correct answer: 1. Oral Iron intolerance

Explanation: Parenteral Iron Therapy by injection is indicated only when : 1. Oral iron is not tolerated or Non compliance to it. 2. Severe GIT upset , Iron malabsorption (e.g Sprue, Short-bowel syndrome) 3. In presence of severe deficiency with chronic bleeding. 4. Along with erythropoietin in chronic kidney disease (CKD) patients. 5. Routine supplement to Total Parenteral Nutrition. S/E : Parenteral Iron Therapy should be used only when clearly indicated because acute hypersensitivity, including anaphylactic and anaphylactoid reactions, headache, malaise, fever, generalized lymphadenopathy, arthralgias, urticaria and in some patients with Rheumatoid Arthritis, exacerbation of the disease.